Structure preserved in Radical Neck Node dissection:
1. Vagus nerve
2. Spinal Accessory Nerve
3. Internal Jugular Vein
4. Sterno cleido mastoid muscle

Correct answer: 1. Vagus nerve

Explanation: Ans. (a) Vagus nerve(Ref Sabiston 20th Edition Page 794)* Standard RND (CRILE operation) removes nodal levels I through V and the sternocleidomastoid muscle, internal jugular vein, cranial nerve XI, cervical plexus, and submandibular gland.* Modified RND (Bocca Operation) preserves one or more of the three structures - SCM, IJV and Spinal Accessory nerve.